Eruption of the permanent maxillary second molar prior to the maxillary second premolar is:
1. Normal and desirable
2. Abnormal and undesirable
3. Abnormal and desirable
4. Normal and undesirable

Correct answer: 2. Abnormal and undesirable